All of the following are seen in cervical syringomyelia except:
1. Burning sensation in hands
2. Hypertrophy of abductor pollicis brevis
3. Plantar extensor
4. Absent biceps reflex

Correct answer: 2. Hypertrophy of abductor pollicis brevis

Explanation: Ans. b. Hypertrophy of abductor pollicis brevis